All of the following are signs of poor prognosis in obsessive-compulsive disorder (OCD) except?
1. Good social adjustment
2. Coexisting major depression
3. Childhood onset
4. Bizarre compulsions

Correct answer: 1. Good social adjustment

Explanation: Ans. A. Good social adjustmentA good prognosis for people with obsessive-compulsive disorder (OCD) is indicated by good social and occupational adjustment, the presence of a precipitating event, and an episodic nature of symptoms. About one-third of patients with OCD have major depressive disorder, and suicide is a risk for all patients with OCD. A poor prognosis is indicated by yielding to (rather than resisting) compulsions, childhood onset, bizarre compulsions, the need for hospitalization, a coexisting major depressive disorder, delusional beliefs, the presence of overvalued ideas (i.e., some acceptance of obsessions and compulsions), and the presence of a personality disorder (especially schizotypal personality disorder). The obsessional content does not seem to be related to the prognosis.